Multifactorial inheritance is most likely to play a role in -
1. Cleft lip
2. Marfan's syndrome
3. Down's syndrome
4. Erythroblastosis fetalis

Correct answer: 1. Cleft lip

Explanation: Ans. is 'a' i.e., Cleft lip Disorders with multifactorial inheritanceo The multifactorial disorders result from the combined actions of environmental influences and two or more mutant genes having additive effects,o Multifactorial disorders are -1. Cleft lip/cleft palate3. Coronary heart disease5. Diabetes melitus7. Pyloric stenosis2. Congenital heart diseases4. Hypertension6. Gout